Main source of prolactin in amniotic fluid is :
1. Decidua
2. Synctiotrophoblast
3. Cytotrophoblast
4. Yolksac of fetus

Correct answer: 1. Decidua

Explanation: Decidua is the main source of prolactin present in amniotic fluid. Decidual prolactin is not confused with human placental lactogen(hpl) which is produced only by the synctiotrophoblast. Ref:Williams Obs - 24 e pg 88.